G2P1L1 with twin gestation has BMI of 26. What is the ideal weight gain recommended :
1. 37-54 lb
2. 31-50 lb
3. 25-42 lb
4. None of the above

Correct answer: 2. 31-50 lb

Explanation: weight gain in a pregnant woman with twin gestation with normal BMI is 37-54lb, Reference: williams Textbook of obstetrics 24th edition page 912